Which of the following is homogenously pink staining extracellular fibrillar protein on congo red staining?
1. Elastin
2. Amyloid
3. Collagen
4. Actin

Correct answer: 2. Amyloid

Explanation: Ans. is 'b' i.e., Amyloid * Congo red is most specific and most commonly used stain stain used for amyloidosis. Appearance of amyloid (fibrillary" 'extracellular protein) are:-a) Congo red stain on light microscopy: Pink or red color to tissue deposits.b) Congo red stain on polarized microscopy: Apple green birefringence.